Uveoparotitis is seen in
1. SLE
2. Sjogren's syndrome
3. Rheumatoid arthritis
4. Sarcoidosis

Correct answer: 4. Sarcoidosis